Which of the following is the characteristic pathologic feature of malignant hypertension?
1. Hyaline arteriosclerosis
2. Fibrinoid necrosis
3. Medial wall hyperplasia
4. Micro-aneurysm

Correct answer: 2. Fibrinoid necrosis

Explanation: Fibrinoid necrosis is a characteristic feature of malignant hypertension. In this, there is insudation and accumulation of plasma proteins which stain intensely with eosin. Arterial wall thickening and hyaline arteriosclerosis are found in benign hypertension.